Most characteric features of acture inflammation is -
1. Vasoconstriction
2. Vascular stasis
3. Vasodilati on and increased vascular permeability
4. Margination of leukocytes

Correct answer: 3. Vasodilati on and increased vascular permeability

Explanation: Ans. is 'c' i.e., Vasodilatation and increased vascular permeability o The hallmark of acute inflammation is increased vascular permeability leading to escape of protein rich fluid (exudate) into the extravascular tissue